Exostosis due to repetitive exposure to cold water is common in which part of the temporal bone
1. Squamous part
2. Tympanic part
3. Petrous part
4. Mastoid part

Correct answer: 2. Tympanic part

Explanation: Exostoses are multiple and bilateral, often presenting as smooth, sessile, bony swellings in the deeper part of the meatus near the tympanic membrane. Outer 1/3rd part of the external auditory meatus is formed by cartilage and inner 2/3rd part is formed by the temporal bone. It is often seen in persons exposed to the entry of cold water in the meatus as in divers and swimmers. (Ref: Diseases of ear, nose and throat, PL Dhingra, 7th edition, pg no. 118, 119)